Second messenger is/are:
1. Ca2+
2. DNA
3. Histone
4. cDNA

Correct answer: 1. Ca2+

Explanation: Ans: a. Ca2+ [Ref Harper 30th/501, 91-92, 179, 343; Lippincott 6th/94-951Nucleotides, such as cyclic adenosine mono-phosphate (cAMP) and cyclic guanosine monophosphate (cGMP), serve as second messengers in signal transduction pathways.Two of the most widely recognized second messenger systems are the calciumlphosphatidy linositol system, and the adenylyl cyclase system, which is particularly important in regulating the pathways of intermediary metabolism.